Partial mole is -
1. 46XY
2. 46XX
3. 69XXY
4. 23X

Correct answer: 3. 69XXY

Explanation: Ans. is 'c' i.e., 69XXY Important features of complete and partial molesFeaturesComplete molePartial moleo Embryo / fetuso Absento Presento Hydrophic degeneration of villio Prominent & diffuseo Variable and focalo Trophoblastic hyperplasiao Diffuseo Focalo Uterine sizeo More than date (30-60%)o Less than dateo Theca lutein cysto Common (25-50%)o Uncommono Karyotypeo 46 XX (85%), paternal in origino Triploidy (90%), diploid (10%)o Beta HCGo High (> 50,000)o Slight deviation (< 50,000)o Classic clinical symptomso Commono Rareo Risk of persistent GTDo 20%o < 5%